Ballooning is characteristic of :
1. Harpes zoster
2. Pemphigus
3. Pemphigoid
4. Insect bite

Correct answer: 1. Harpes zoster

Explanation: A i.e. Herpes zoster